Not a characteristic of neovascularization of iris
1. Fine and irregular vessels
2. Can be seen on pupillary border or angle
3. Do not cross the scleral spur
4. Indicate VEGF secretion

Correct answer: 3. Do not cross the scleral spur

Explanation: Characteristics of Neovascularization - Fine and irregular Orientation across the angle - Bright red - Arborizing - Cross the scleral Spur - Can be seen near pupillary border - Indicate VEGF Secretion - Can be seen at Optic nerve head/ retina/ angle/ pupillary border